Xanthogranulomatous pyelonephritis is often associated with infection by -
1. proteus
2. E. coli
3. H. influenzae
4. Klebsiella

Correct answer: 1. proteus

Explanation: Xanthogranulomatous pyelonephritis It is an unusual and rare form of chronic pyelonephritis associated with Proteus infections. MORPHOLOGY Gross: Cut surface shows large, yellowish-orange nodules, which may be confused with renal cell carcinoma. Microscopy: Interstitium shows foamy macrophages, plasma cells, and lymphocytes Clinical Features Chronic pyelonephritis associated with reflux may be silent onset. Usual symptoms are back-pain, fever, pyuria, and bacteriuria Ref: RAM DAS NAYAK EXAM PREPARATORY MANUAL FOR UNDERGRADUATES 2nd ed. pg no: 619